Based on the ability to simulate jaw movement, articulators which permit horizontal and vertical movements and do accept face bow transfer, but with limited facility:
1. Class 1
2. Class 2
3. Class 3
4. Class 4

Correct answer: 3. Class 3